Variation in eruption in permanent dentition
1. 4-5 months
2. 7-9 months
3. 1-2 months
4. 12-18 months

Correct answer: 4. 12-18 months